All of the following soft tissue sarcomas have a propensity for lymphatic spread except
1. Neurofibrosarcoma
2. Synovial sarcoma
3. Rhabdomyosarcoma
4. Epitheloid sarcoma

Correct answer: 1. Neurofibrosarcoma

Explanation: A malignant peripheral nerve sheath tumor (MPNST)/ Neurofibrosarcoma is a form of cancer of the connective tissue surrounding nerves. Given its origin and behavior it is classified as a sarcoma. About half the cases are diagnosed in people with neurofibromatosis; the lifetime risk for an MPNST in patients with neurofibromatosis type 1 is 8-13%.MPNST with rhabdomyoblastomatous component are called malignant triton tumors Symptoms may include: Swelling in the extremities (arms or legs), also called peripheral edema; the swelling often is painless. Difficulty in moving the extremity that has the tumor, including a limp. Soreness localized to the area of the tumor or in the extremity. Neurological symptoms. Pain or discomfort: numbness, burning, or "pins and needles." Dizziness and/or loss of balance Prognosis Patient response to treatment will vary based on age, health, and the tolerance to medications and therapies. Metastasis occurs in about 39% of patients, most commonly to the lung. Features associated with poor prognosis include a large primary tumor (over 5 cm across), high grade disease, co-existent neurofibromatosis, and the presence of metastases.It is a rare tumor type, with a relatively poor prognosis in children Ref : https://en.m.wikipedia.org/wiki/Malignant_peripheral_nerve_sheath_tumor